The most common etiology of short stature is?
1. Thyroxine deficiency
2. Growth hormone deficiency
3. Systemic diseases
4. Constitutional growth delay

Correct answer: 4. Constitutional growth delay

Explanation: Short stature Defined as height below third centile or more than 2 standard deviations below the median height for age and gender according to the population standard. Children whose stature is more than 3 SD below the population mean for age and gender are more likely to be suffering from pathological short stature as compared to those with stature between -2 and -3SD , who are more likely to be affected by familial or constitutional short stature. CAUSES:- 1. The most common cause is constitutional. 2. Familial 3. Pathological causes include: Undernutrition Chronic systemic illness Cerebral palsy Congenital heart disease Cystic fibrosis, asthma Malabsorption Acquired immunodeficiency syndrome 4. Endocrine causes include: Growth hormone deficiency Hypothyroidism Cushing syndrome Pseudohypoparathyroidism Precocious or delayed puberty 5. Psychosocial dwarfism 6. Children born small for gestational age. 7. Skeletal dysplasia; achondroplasia, rickets. 8. Genetic syndrome; Turner, Down syndrome. Reference: GHAI Essential pediatrics, 9th edition